Trigmenial nerve has how many nuclei in CNS:
1. Three
2. Four
3. Five
4. Six

Correct answer: 2. Four

Explanation: B i.e. FourTrigeminal nerve has 4 nucleiQ which are main sensory nucleus (carrying sensation from face & anterior scalp)Q, motor nucleus (supplying muscles of mastication, tensor tympani /palatini, mylohyoid & digastric anterior belly), mesencephalic nucleus and spinal nucleus (extending in medulla oblongata & spinal cord upto C2 segment)Q.